Downward and lateral gaze is action of:
1. Inferior oblique
2. Medial rectus
3. Superior oblique
4. Lateral rectus

Correct answer: 3. Superior oblique

Explanation: Ans. Superior oblique